In a snake envenomation, antivenom is started by giving a dose of -
1. 2 vials
2. 4 vials
3. 10 vials
4. 20 vials

Correct answer: 3. 10 vials

Explanation: dose Minimal symptoms-Local swelling ,no systemic reactions-5 vials Moderate symptoms-swelling progresses,with systemic reaction-10 vials Severe symptoms-marked local reaction-10 to 15 vials REF;THE SYNOPSIS OF FORENSIC MEDICINE:KS NARAYANA REDDY;28th EDITION;PAGE NO323